The primary excretory organ for the local
anaesthetic and its metabolites is:
1. Lungs
2. Kidneys
3. Rectum
4. Skin

Correct answer: 2. Kidneys